All of the following factors decrease the Minimum Alveolar Concentration (MAC) of an inhalation anaesthetic agent except.
1. Hypothermia
2. Hyponatremia
3. Hypocalcemia
4. Anemia

Correct answer: 3. Hypocalcemia

Explanation: C i.e. Hypocalcemia